Widening of C-loop of duodenum/broad loop of duodenum on X-ray is diagnostic of:
1. Chronic pancreatitis
2. Carcinoma head of pancreas
3. Periampullary carcinoma
4. Calculi in ampulla of vater

Correct answer: 2. Carcinoma head of pancreas

Explanation: Ans. Carcinoma head of pancreas